A 50 years old male with 2 diabetes mellitus is found to have 24 hour urinary albumin of 250 mg. Which of the following drugs may be used to retard progression of renal disease -
1. Hydrochlorthiazide
2. Enalapril
3. Amiloride
4. Aspirin

Correct answer: 2. Enalapril

Explanation: Ans is option 2 - Enalapril ACE inhibitors and ARB's are specifically indicated to reduce progression of renal disease. Ref Harrison 19 /2428